Gastric acid secretion is stimulated during several phases associated with the ingestion and digestion of a meal. Which phase is associated with the bulk of acid secretion?
1. Cephalic
2. Esophageal
3. Gastric
4. Intes nal

Correct answer: 3. Gastric